In pelger huet anomaly-
1. Most of the neutrophils are bibbed
2. Lymphocytic nucleus becomes indented
3. Monocytic nuclei lose their notch
4. Neutrophils become hypersegmented

Correct answer: 1. Most of the neutrophils are bibbed

Explanation: Ans. is 'a' i.e., Most of the neutrophils are bilobed'